Increased ESR is seen in one of following-
1. Sickle cell anemia
2. Multiple myeloma
3. Polycythemia
4. Congestive heart failure

Correct answer: 2. Multiple myeloma

Explanation: Ans. is 'b' i.e., Multiple myeloma